Drug commonly used in the treatment of echinococosis is :
1. Albendazole
2. Ivermectin
3. Pyrantel pamoate
4. Metronidazole

Correct answer: 1. Albendazole